A 14-year old girl with history of prolonged fever and abdominal discomfort is observed to have splenomegaly and leucopenia. In the course of disease she developed acute abdominal event and dies. Which of the following is the likely finding on autopsy?
1. Transverse ulcers
2. Longitudinal ulcers
3. Pin point ulcers
4. Pseudopolyps

Correct answer: 2. Longitudinal ulcers

Explanation: ENTERIC FEVER OR TYPHOID It is caused by Salmonella typhi or paratyphi Typhoid is the MC cause of Ileal perforation in tropical countries (India). Pathology Ulceration and necrosis of Ileocecal Peyer's patches The ulcer is parallel to the long axis of the gut and is usually situated in the lower ileum (Longitudinal ulcers)